Plasrnacytoid lymphomas may be associated with
1. IgG
2. IgM
3. IgA
4. IgE

Correct answer: 2. IgM

Explanation: Plasmacytoid lymphoma is lymphoplasmacytic lymphoma.Its a B cell neoplasm in adults.Most commonly the plasma cell component secretes monoclonal IgM,often in amount sufficient to cause a hyperviscosity syndrome, Waldenstrom macroglobulinemia